In type II respiratory failure, there is
1. Low pO2 and low pCO2
2. Low pO2 and high pCO2
3. Normal pO2 and high pCO2
4. Low pO2 and normal pCO2

Correct answer: 2. Low pO2 and high pCO2